Major retinal vessels are present in:
1. Between the vitreous and internal limiting membrane
2. The nerve fibre layer
3. The inner plexiform layer
4. The inner nuclear layer

Correct answer: 2. The nerve fibre layer

Explanation: Ans/. The nerve fibre layer